Intravascular hemolysis is NOT associated with:
1. Clostridium tetani
2. Bartonella bacilliformis
3. Plasmodium falciparum
4. Babesia microti

Correct answer: 1. Clostridium tetani

Explanation: Bartonella bacilliformis, Plasmodium falciparum and Babesia microti infects RBC s and produces intravascular hemolysis. Clostridium tetani produces exotoxins which is responsible for the clinical manifestations and is not associated with hemolysis. Ref: Harrisons principles of internal medicine, 18th edition, Page: 1099.